a2 agonists cause all of the following except:
1. Analgesia
2. Hyperalgesia
3. Sedation
4. Anxiolysis

Correct answer: 2. Hyperalgesia

Explanation: Ans. b. Hyperalgesia (Ref: Goodman and Gilman 12/e pe p296; Katzung 12/e p176)a2 agonists causes analgesia, not the hyperalgesia.Potential actions of alpha2 agonists (DASHA)Drying of secretionsQAnalgesiaQSedationQHypotensionQAnxiolysisQ